Which of the following statements about indirect pulp caps is false?
1. Some leathery caries may be left in the preparation.
2. A liner is generally recommended in the excavation.
3. The operator should wait at least 6 to 8 weeks before re-entry (if then).
4. The prognosis of indirect pulp cap treatment is poorer than that of direct pulp caps.

Correct answer: 4. The prognosis of indirect pulp cap treatment is poorer than that of direct pulp caps.

Explanation: When doing an indirect pulp cap some caries may be left, a liner  is usually placed over the excavated area, and the area may be assessed 6 to 8 weeks later. Regardless, the indirect pulp cap prognosis is better than the prognosis for direct pulp caps.